As per WHI a person is underweight if BMI is -
1. < 18.5
2. < 25
3. <30
4. <35

Correct answer: 1. < 18.5

Explanation: Ans. is 'a' i.e., < 18.5 BMI =Weight in kg----------------(Height in meters)2=50------(1.50)2= 22.22 Classification of adults according to BMIClassificationBMIRisk of comorbiditiesUnderweight< 18.50Low (but risk of other clinical problems increased)Normal range18.50-24.99AverageOverweight:> 25.00 Pre-obese25.00-29.99IncreasedObese class I30.00-34.99ModerateObese class II35.00-39.99SevereObese class III> 40.00Very severe* Thus, the patient in question is classified into normal range.